Normal capillar wedge pressure ?
1. 0-2 mm Hg
2. 5-10 mm Hg
3. 15-20 mm Hg
4. 20-30mm Hg

Correct answer: 2. 5-10 mm Hg

Explanation: Ans. is 'b' i.e., 5-10 mm HgNormal capillary Wedge pressure is 4-12mm Hg. It is a measure of left atrial pressure.